Pulsus alternans is seen in:
1. MS with MR
2. AS with AR
3. Left ventricular failure
4. Digitalis poisoning

Correct answer: 3. Left ventricular failure

Explanation: Ans. C: Left ventricular failure Pulsus alternans is a physical finding characterized by a regular alternation of the force of the arterial pulse. It almost invariably indicates the presence of severe left ventricular systolic dysfunction.